A patients present with dogs bite in the palm, fingers and oozing of blood on the neck regions, belongs to which class of the exposures
1. Class I
2. Class II
3. Class III
4. None

Correct answer: 3. Class III

Explanation: (Class III) (231- Park 19th) (243-Park 20th)CLASSIFICATION OF EXPOSURESClass I (Slight risk)Class II (Moderate risk)* Licks on healthy unbroken skin* Consumption of unboiled milk of the suspected animals* Scratches without oozing of bloodLikes on fresh cutsScratches with oozing of bloodAll bites except those on head neck,face, palms and fingersMinor wounds less than 5 in numberClass III (Severe risk)* All bites or scratches with oozing of blood on the neck, head, face, palms and fingers* Lacerated wounds on any part of the body* Multible wounds 5 or more in numbers* Bites from wild animals